High-frequency audiometry used in
1. Minieres disease
2. Otosclerosis
3. Drug induced ototoxicity
4. Sensorineural Hearing loss

Correct answer: 3. Drug induced ototoxicity

Explanation: As ototoxicity appears to be most pronounced in the higher frequencies, it can be assessed at an earlier stage by using high-frequency audiometry from 8 to 20 kHz. Ototoxic drugs: Ref : Diseases of ENT by Dhingra 6th edition Pgno: 34